Endemic cretinism is seen when iodine uptake is less than
1. 5microgram/day
2. 20microgram/day
3. 50microgram/day
4. 75microgram/day

Correct answer: 2. 20microgram/day

Explanation: Endemic cretinism is seen when iodine uptake is less than 20microgram/dayEndemic cretinism is the extreme clinical manifestation of severe hypothyroidism during foetal, neonatal and childhood stages of development. It is characterised by severe and irreversible intellectual disability, short stature, deaf-mutism, spastic dysplegia and squints.Cretinism seen in severe endemic areas is predominantly of two types (a) neurological cretinism, where the neurological manifestations of thyroxin deficiency early in life, i.e. hypothyroidism, were confined to the in-utero or neonatal stages. (b) Myxedematous cretinism, where besides having intellectual disability, sufferers also have myxoedema and dwarfism.Associated with goitre when iodine uptake is less than 50microgram/day. Normal requirement is 150microgram/day